A child is presenting with vomiting and abdominal pain after 5 hours of eating some food. The most likely causative orgonism:
1. Bacillus cereus
2. Cl. perfringens
3. Cl. botalinum
4. V. cholerae

Correct answer: 1. Bacillus cereus

Explanation: M/C cause of food poisoning. Chinese fries rice is major source of the organism. REF : ananthanarayana 10th ed